In cervical lymph node classification, grade VI is marginated at which level?
1. Submandibular
2. Anterior compartment
3. Upper jugular
4. Posterior triangle

Correct answer: 2. Anterior compartment

Explanation: Division of Lymph Nodes by Levels